Spinal anesthesia should be injected into the space between
1. T12-L1
2. L1-L2
3. L3-L4
4. L5-S1

Correct answer: 3. L3-L4

Explanation: Spinal anesthesia is usually injected at L3-L4, L2-L3